Senile cardiac amyloidosis associated protein is -
1. Transthyretin
2. ANP
3. Beta 2 microglobulin
4. Gelsolin

Correct answer: 1. Transthyretin

Explanation: Transthyretin (TTR) is a normal serum protein that binds and transports thyroxine and retinol, hence the name. Mutations in the gene encoding TTR may alter its structure, making the protein prone to misfolding and aggregation, and resistant to proteolysis. This leads to the formation of aggregates that deposit as amyloid. The resultant diseases are called familial amyloid polyneuropathies. TTR is also deposited in the heart of aged persons (senile systemic amyloidosis); in such cases the protein is structurally normal, but it accumulates at high concentrations. Some cases of familial amyloidosis are associated with deposits of mutant lysozyme. Robbins 9 th edition page no. 154